Anterior fontanelle corresponds to all structures EXCEPT:
1. Frontal bones
2. Coronal suture
3. Lambdoid suture
4. Saggital suture

Correct answer: 3. Lambdoid suture

Explanation: Ans. (c) Lambdoid sutureRef: OP Ghai 8th ed./41* Well you can look at the diagram for the logic and memorize the diagram as it will help you in anatomy also.* Lambdoid suture corresponds with posterior fontanelle.